A 46-year-old male presented to the dermatology OPD with abnormal pigmentation on the trunk, the back, the abdomen, and the proximal extremities. It was noted that fine, dust like scales covered the lesion. Dermoscopy shows a well-demarcated white area with patchy and diffuse scaling found largely inskin furrows. Skin biopsy was taken.
1. Epidermophyton
2. Trichophyton rubrum
3. Microsporum canis
4. Malassezia furfur

Correct answer: 4. Malassezia furfur

Explanation: This is a case of Tinea versicolor. Tinea versicolor is a common, benign, superficial cutaneous fungal infection usually characterized by hypopigmented or hyperpigmented macules and patches on the chest and the back. Tinea versicolor is caused by the dimorphic, lipophilic organisms in the genus Malassezia, formerly known as Pityrosporum. The KOH mount image shows the classical spaghetti and meatball appearance. Trichophyton would show pencil shaped macroconodia with abundant microconidia Microsporum would show spindle shaped macroconodia. Epidermophyton would shows pear shaped macroconodia with no microconidia.